Which of the following stains is not used for C.diphtheriae:
1. Albert's
2. Kinyoun's
3. Ponder's
4. Neisser's

Correct answer: 2. Kinyoun's

Explanation: Kinyoun's stain is not used for C.diphtheriae. 1.Stains used for metachromatic granules of Corynebacteria: Albert's, Ponder's, Neisser's Stains. 2. Kinyoun's stain is used for Mycobacterium tuberculosis: Acid fast staining Ziehl-Neelsen staining (hot method). Kinyoun's stain (cold acid fast staining). Gabbett's staining method.